Murphy eye seen in:
1. Endotracheal tube
2. Millers blade
3. Macintosh blade
4. FOB

Correct answer: 1. Endotracheal tube

Explanation: Ref. Oxford textbook of anesthesia. Page. 4
 
Murphy Eye:
The “Murphy eye” is the eponymous name for a hole on the side of most endotracheal tubes (ETTs) that functions as a vent, and prevents the complete obstruction of the patient’s airway, should the primary distal opening of an ETT become occluded
The original ET tube by Dr. Murphy